A 12-year-old boy presents with hematemesis, melaena and mild splenomegaly. There is no obvious jaundice or ascites. The most likely diagnosis is:
1. EHPVO
2. NCPF
3. Cirrhosis
4. Malaria with DIC

Correct answer: 1. EHPVO

Explanation: A. EHPVO(Ref: Nelson's 20/e p 1972)The given history is suggestive of portal hypertensionExtrahepatic portal vein obstruction is an important cause of portal hypertension in childhood.The obstruction can occur at any level of the portal vein.